confounding can be removed by?
1. Assign confounding to both cases and controls
2. Stratification
3. Matching
4. All of the above

Correct answer: 4. All of the above

Explanation: .
a confounding factor is defined as one which is associated both with exposure and disease,and is distributed unequally in study and control groups.more specifically a confounding factor is that which,although associated with exposure under investigation,is itself independently of any such association ,a risk factor for the disease.in certain cases the confounding effect due to age can be neutralized by matching so that the concerned groups have an equal proportion

ref:park's textbook of preventive and social medicine ,22 nd edition,page no 69